Nerve growth factor is required for growth of ?
1. Sympathetic neurons
2. Brain
3. Motor neuron
4. y-neuron

Correct answer: 1. Sympathetic neurons

Explanation: Ans. is 'a' i.e., Sympathetic neuronsNerve growth factor (NGF) promotes growth of neurons, particularly autonomic nervous system.Antiserum against NGF can be prepared and injection of this serum causes total destruction of sympathetic ganglia - immunosympathectomy.NGF is also required for growth of basal forebrain cholinergic neurons.